All of the following are involved in graft versus host disease Except
1. Kidney
2. Liver
3. Small intestine
4. Skin

Correct answer: 1. Kidney

Explanation: GVHD characteristically involves the liver, gastrointestinal tract, and skin. It occurs as a complication of hematopoietic stem cell transplant when immunocompetent cells and precursors recognize host tissue alloantigens and react against them.